Proteins seen in chromosomes are called
1. Nucleotides
2. Histones
3. Apoproteins
4. Glycoproteins

Correct answer: 2. Histones

Explanation: Histones are the most abundant histone proteins.